All require hospitalization except:-
1. 5% burns in children
2. 10% scalds in children
3. Electrocution
4. 15% deep burns in adults

Correct answer: 1. 5% burns in children

Explanation: PATIENTS WITH THE FOLLOWING CRITERIA ARE REFERRED TO DESIGNATED BURN CENTER Partial-thickness burns>10% TBSAQ Burns involving the face, hands, feet, genitalia, perineum or major jointsQ Any full-thickness burnQ Electrical burns, including lightning injuryQ Chemical burnsQ Inhalation injuryQ Burns in patients with preexisting medical disordersQ that could complicate management, prolong recovery, or affect outcome Any patient with burns and concomitant traumaQ (e.g., fractures) in which the burn injury poses the greater immediate risk for morbidity and mortality Burned children in hospitals without qualified personnel or equipment to care for children Burns in patients who will require social, emotional, or long-term rehabilitative intervention